Cervical pregnancy is confirmed by the presence of
1. Gestational sac below internal os
2. Intractable bleeding following evacuation or ex pulsion of products
3. Bleeding is painless
4. Histology showing presence of villi inside the cervical stroma

Correct answer: 4. Histology showing presence of villi inside the cervical stroma

Explanation: Ans is 'd' i.e., Histology showing presence of villi inside the cervical stromaCervical PregnancyIn cervical pregnancy, the bleeding is painless and the uterine body lies above the distended cervix. Intractable bleeding following evacuation or expulsion of the products brings about suspicion.The morbidity and mortality is high because of profuse hemorrhage.Clinical diagnostic criteria (Rubin-1983) for cervical pregnancy are?Soft, enlarged cervix equal to or larger than the fundus.Uterine bleeding following amenorrhea, without cramping pain.Products of conception entirely confined within and firmly attached to endocervix.A closed internal cervical os and a partially opened external os.Sonography reveals the pregnancy in the cervical canal and an empty uterine cavity.Confirmation is done by histological evidence of the presence of villi inside the cervical stroma.